True statement regarding Bupivacaine is
1. Used as intravenous along with lignocaine
2. More cardiotoxic than lignocaine
3. Contraindication in pregnancy
4. All of the above

Correct answer: 2. More cardiotoxic than lignocaine

Explanation: (More cardiotoxic than Lignocaine)(326-KDT) (357-KDT6th)BUPIVACA1NE - long acting amide linked LA used for infiltration, nerve block, epidural and spinal anaesthesia of long duration* A 0.25-0.5% solution injected epidurally produces adequate analgesia without significant motor blockade. As a result it has become very popular in obstetrics (mother can actively cooperate in vaginal delivery).* ** Bupivacaine is more prone to prolong QTc interval and induce ventricular tachycardia or cardiac depression-should not be used for intravenous regional analgesia. (UP-2010)* It should not be used for Beir block (because of its cardiotoxicity)* Drug of choice for ventricular tachycardia produced by bupivacaine is bretylium